Ketone bodies are synthesized in which part of body?
1. Brain
2. Liver
3. Heart
4. Intestine

Correct answer: 2. Liver

Explanation: Acetoacetate is the primary ketone body while beta-hydroxybutyrate and acetone are secondary ketone bodies. They are synthesised exclusively by the liver mitochondriaRef: DM Vasudevan - Textbook of Biochemistry, 6th edition, page no: 143